Double edged sword is -
1. Chlorine
2. Fluorine
3. Lead
4. Selenium

Correct answer: 2. Fluorine

Explanation: Fluorine is often called double edged sword. Prolonged ingestion can lead to dental and Skeletal flurosis.REF. PARK'S TEXTBOOK OF PREVENTIVE AND SOCIAL MEDICAL 21ST EDITION. PAGE NO - 577